Brain natriuretic peptide is degraded by:
1. Neutral endopeptidase
2. Elastase
3. Collagenase
4. Ompatrilat

Correct answer: 1. Neutral endopeptidase

Explanation: . Neutral endopeptidase